All of the following physiological processes occur during the growth at the epiphyseal plate except:
1. Proliferation and hypertrophy
2. Calcification and ossification
3. Vasculogenesis and erosion
4. Replacement of red bone marrow with yellow marrow

Correct answer: 4. Replacement of red bone marrow with yellow marrow

Explanation: Physiological processes like proliferation, hypertrophy, calcification, ossification, vasculogenesis and erosion can occur during the growth of epiphyseal plate except replacement of re bone marrow with yellow marrow.